Best investigation for multiple osteoblastic bone metastases is-
1. MRI
2. CT
3. Bone Scan
4. X Ray

Correct answer: 3. Bone Scan

Explanation: Ans. is 'c' i.e., Bone scan o Bone scan (scintigraphy) is the investigation of choice for multiple osteoblastic bone metastasis. Investigations in musculoskeletal system o Investigation of choice for AVN Hip - MRI o Best initial test for osteomyelitis - Plain x-ray o Best second line test for osteomyelitis (if there is high clinical suspician and x-ray is negative) - MRI o Most accurate diagnostic test for osteomyelitis - Bone biopsy and culture, o Best view for scaphoid fracture - Oblique (scaphoid) view of wrist. o Best view for C1-C2 vertebrae & junction - Open mouth odontoid (Pegs) view. o Investigation of choice for ACL & PCL injury' - MRI o Investigation of choice to detect calcification - CT scan o Investigation of choice for prolapsed intervertebral disc - MRI o Investigation of choice for spinal tuberculosis - MRI o Investigation of choice for traumatic paraplagia - MRI o Investigation of choice in intramedullary space occupying lesion (SOL) - MRI o Investigation of choice for bone metastasis - Bone scan o Gold standard and investigation of choice for osteoporosis (Bone density') - Dual energy x-ray absorptiometry (DEXA) .